Alkali denaturation test (ADT) test is for:
1. Bence jounes protein
2. Fetabl Hb
3. Albumin
4. Myoglobin

Correct answer: 2. Fetabl Hb

Explanation: B i.e. Fetal HbAlkali denaturation test (ADT) - done for fetal hemoglobin. HbF is alkali denaturation resistantQ.